Bag and mask ventilation is contraindicated in newborn resuscitation with clinical suspicion of ?
1. Diaphragmatic hernia
2. Intracranial hemorrhage
3. Meconium aspiration
4. Pneumothorax

Correct answer: 1. Diaphragmatic hernia

Explanation: Ans. (a) A diaphragmatic herniaRef: OP Ghai 8th ed./129Bag and mask will lead to over-distention of the stomach which is already lying on the pleural surface. This will worsen the mediastinal shift and compress the ipsilateral lung further leading to worsening of the patient.